Feature associated with mania is -
1. Neologism
2. Perseveration
3. Echolalia
4. Flights of ideas

Correct answer: 4. Flights of ideas

Explanation: Ans. is 'd' i.e., Flights of ideas Diagnostic criteria for maniao Three or more of the following for at least 1 week:-i) Inflated self esteem or grandiosityii) Decreased need for sleepiii) Overtalkativenessiv) Flight of ideasv) Distractibilityvi) Psychomotor agitation or Increased goal directed activitiesvii) Excessive involvement in pleasurable activitiesImportant symptoms of mania1) Elevated mood:- Euphoria, elation, exatlation, ectasy, high self esteem.2) Thought & speech:- Pressure of speech (Talkativeness), flight of ideas, delusion of grandeur, delusion of persecution, distractibility.3) Increased psychomotor activity:- Overactiveness, restlessness, increased energy.4) Goal directed activity:- Patient is alert, trying to do many things at one time.5) Psychotic features:- Delusions and hallucination.6) Other:- Increased sexual drive, aggressive behavior, decreased need for sleep (insomnia), spending excessive money, increased appetite, impaired judgement, social & occupational dysfunction, absent insight.